Hormone sensitive lipase is not activated by-
1. Insulin
2. Glucagon
3. Catecholamines
4. T4

Correct answer: 1. Insulin

Explanation: Hormone Sensitive Lipase is a catabolic enzyme (enzyme which breaks down the Triglycerides of Adipose tissue). As this enzyme belongs to a Catabolic pathway. So it is inhibited by insulin . As insulin activates all anabolic pathway enzymes. Rest all hormones like Glucagon, Thyroid, Epinephrine activates hormone sensitive lipase enzyme. Extra Edge: Hormone Anabolic pathway Catabolic pathway Insulin Activate All i.e. HMP Glycogenesis FA synthesis Cholesterol synthesis TG synthesis Lipoprotein Lipase enzyme Glycolysis & Link reaction Only (Exceptions) Glucagon Activates None Activate all i.e. Glycogenolysis Beta oxidation of Fatty Acids, Gluconeogenesis Ketone body synthesis Ketone body utilization, Except above two(Glycolysis & Link reaction)